Epistaxis in elderly patient is commonest in
1. Nasapharyngeal carcinoma
2. Foreign body
3. Bleeding disorder
4. Hypertension

Correct answer: 4. Hypertension

Explanation: The major cause for epistaxis in an elderly person is hypertension. Ref: Dhingra 7e pg 198.